A young male presented with Hypo anesthetic patch on right forearm. On examination a thickened nerve was palpable. Histopathology shows the following:
1. TT Leprosy
2. LL Leprosy
3. Lymphoma
4. Histiocytosis

Correct answer: 1. TT Leprosy

Explanation: Ans. A. TT LeprosyTuberculoid leprosy (TT):a. One or few, asymmetrically located lesionsb. Well defined, hypo-pigmented, anesthetic macules or plaques, often with active border.c. The lesions show hair loss and impairment of sweatingd. A superficial feeder nerve or single regional nerve is often thickened and may even be nodular.Histopathology:Hard tubercles eroding into epidermis; no clear zoneLepromatous leprosy (LL):A systemic disease characterized by extensive cutaneous, neural and systemic involvementHistopathology:a. Collection of foamy macrophages in dermis separated from epidermis by a clear zoneb. Masses of acid-fast bacilli (globi) can be seen in some of the foamy histiocytes